The saliva does NOT contain:
1. Amylase
2. Lysozyme
3. Mucin
4. Hydrochloric acid

Correct answer: 4. Hydrochloric acid

Explanation: D: Saliva does not contain hydrochloric acid.
A: The serous part of saliva, produced mainly by the parotid and submandibular glands, contains a digestive enzyme called salivary amylase.
B: Saliva prevents bacterial infection in the mouth by washing the oral cavity, and it contains lysozyme, which has a weak antibacterial action.
C: The serous part of saliva dissolves molecules, which must be in solution to stimulate taste receptors. The mucous secretions of the submandibular and sublingual glands contain a large amount of mucin, a proteoglycan that gives a lubricating quality tot he secretions of the salivary glands.